Canal of Huguier is present in which wall of the middle Ear
1. Anterior wall
2. Medial wall
3. Lateral wall
4. Posterior wall

Correct answer: 1. Anterior wall